Next to metastasis, which is the most reliable feature to differentiate a benign from malignant tumour?
1. Anaplasia
2. Dysplasia
3. Local invasion
4. Metastasis

Correct answer: 3. Local invasion